CT view of Paranasal polyp is?
1. Coronal
2. Axial
3. Sagittal
4. 3D

Correct answer: 1. Coronal

Explanation: For better visualization of paranasal sinuses, the coronal view is preferred. Ref - PL DHINGRA diseases of ear nose and throat, 6th edition, page no 192